Stapes develops from:
1. 1st arch
2. 2nd arch
3. 3rd arch
4. 4th arch

Correct answer: 2. 2nd arch

Explanation: Malleus and incus are derived from mesoderm of 1" arch. Stapes develops from second arch except its footplate and annular ligament which are derived from the otic capsule.